In orthotopic liver transplant the site is?
1. Anatomical liver position
2. Subhepatic space
3. Infra gastric space
4. Any of the above

Correct answer: 1. Anatomical liver position

Explanation: Orthotopic means position normal anatomical placement.